Lucid interval is seen in -
1. Extradural hemorrhage
2. Subdural hemorrhage
3. Intracranial hemorrhage
4. Subarachnoid hemorrhage

Correct answer: 1. Extradural hemorrhage

Explanation: Ans. is 'a' i.e., Extradural hemorrhage o Lucid interval is seen in subacute/chronic epidural (extradural) hemorrhage and in insanity.